Koenen's periungal fibroma is seen in
1. Tuberous sclerosis
2. Neurofibromatosis
3. Psoriasis
4. Alopecia aerata

Correct answer: 1. Tuberous sclerosis

Explanation: A i.e. Tuberous sclerosis